A 23-year-old female patient presents to the emergency room (ER) with a feeling of being unable to catch her breath, light-headedness, and "tingling" of her fingers, toes, and around her mouth. This happens whenever she drives through a tunnel and that is what set off this episode. Which of the following arterial blood pH would be most consistent with her diagnosis?
1. 8.1
2. 7.55
3. 7.15
4. 6.4

Correct answer: 2. 7.55

Explanation: The patient is having a panic attack (due to driving in tunnels) and is hyperventilating, causing an acute respiratory alkalosis. The loss of CO2 pushes the carbonic anhydrase reaction in the direction of CO2 production, reducing the proton concentration (and thereby raising the pH). The patient would lose consciousness with a more severe attack. A respiratory alkalosis is usually mild as compared to a metabolic alkalosis. For this reason, the pH increase is smaller (7.55 is more likely than a pH of 8.10, which could occur via a metabolic alkalosis). The other choices given, 7.15, 6.40, and 6.10, are all lower than physiologic pH (7.4) and would be considered acidosis, instead of alkalosis. An example of a metabolic alkalosis is hypokalemia, a reduction in normal potassium values. Owing to low-serum potassium levels, potassium leaves the cells and is replaced by protons from the circulation. The loss of protons from the blood leads to the alkalosis.